About p53 all are true except -
1. Encodes 53k Da protein
2. Located on Chr. 17
3. Arrests cell cycle at G1 phase
4. Wild type p53 is associated with childhood tumors

Correct answer: 4. Wild type p53 is associated with childhood tumors

Explanation: . Wild type p53 is associated with childhood tumors